Unilateral TMJ ankylosis is associated with the following features, except:
1. Multiple carious teeth
2. Facial asymmetry with fullness on the normal side of mandible
3. Chin deviated towards the affected side
4. Prominent antegonial notch on the affected side

Correct answer: 2. Facial asymmetry with fullness on the normal side of mandible